The structure derived from the right fourth aortic arch-
1. Right common carotid artery
2. Right subclavian artery
3. Aortic arch
4. None of the above

Correct answer: 2. Right subclavian artery